Hallucinations are seen in all except:
1. Schizophrenia
2. Seizures due to intracerebral space occupying lesions
3. Lysergic acid diethyl amide intoxication (LSD intoxication)
4. Anxiety

Correct answer: 4. Anxiety

Explanation: Hallucinations are false perception in absence of any stimulus/object. Hallucinations are not a feature of anxiety. In schizophrenia, the most common type of hallucinations are auditory hallucinations followed by visual hallucinations. Seizures can experience all types of hallucinations. LSD intoxication can experience all kinds of hallucinations.